Transport media for vibrio cholerae -
1. Alkaline peptone water
2. Cary - Blair medium
3. TC BS medium
4. None of the above

Correct answer: 2. Cary - Blair medium

Explanation: Ans. is 'b' i.e., Cary-Blair medium V. choleraeTransport or holding mediaEnrichment mediaPlating mediao Venkatraman-Ramakrishnan (VR) mediumo Carv-Bfair mediumo Autoclaved sea watero Alkaline petone watero Monsur's taurocholate peptone watero Alkaline bile salt agar (BSA)o Monsur's gelatin taurocholate trvpticase tellurite agar (GTTA)o TCBS medium (Thiosulfate, citrate, bile salts, sucrose)